Gas in great vessels of foetus indicate-
1. Fetal distress
2. Post mature fetus
3. Fetal death
4. Premature fetus

Correct answer: 3. Fetal death

Explanation: Gas in great vessels and chambers of heart ( Robert's sign) is seen in maceration, which is a sign of dead born.